Incubation period for Nector americanus -
1. 1 week
2. 2 weeks
3. 3 weeks
4. 5-6 weeks

Correct answer: 4. 5-6 weeks

Explanation: Ans. is 'd' i.e., 5-6 weeks o Following penetration, N-americanus migrates to the lung within about 10 days.o After 3-5 weaks, it passes through the GIT and attaches to the intestinal mucosa, where it matures into the adult worm and may stay for up to ~ 5 yearso The average period between larva penetration and egg production (prepatent period) is 4-8 weeks."Incubation period is variable, generally GI symptoms can appear 35-40 days after penetration of filiform larva.""The incubation period can vary between a few weeks to many months and largely dependent on the number of hook worm parasites an individual is infected with" - Wikipedia